Mental retardation is defined if IQ is below ?
1. 90
2. 80
3. 70
4. 60

Correct answer: 3. 70

Explanation: Ans. is `c' i.e., 70 o A child with IQ . 70 is called mentally retarded.